Deposition of anti ds DNAAb in kidney, skin, choroid plexus and joints is seen in -
1. SLE
2. Good pasture
3. Scleroderma
4. Raynauds disease

Correct answer: 1. SLE